Sloughing of necrotic epithelium is characteristic of:
1. Aspirin burn
2. Denture sore mouth
3. Traumatic ulcer
4. Contact dermatitis

Correct answer: 1. Aspirin burn